Oval stem cells are located in
1. Canal of Schlemm
2. Canal of Herring
3. Space of Disse
4. Basal lamina of myotubules

Correct answer: 2. Canal of Herring

Explanation: Cell Location Function Oval cells Canals of Herring of liver Forms hepatocytes & biliary cells Satellite cells Basal lamina of myotubules Differentiate into myocytes after injury Limbus cells Canals of Schlemm Stem cells for cornea Ito cells Subendothelial space of Disse Store vitamin A Paneth cells Bottom of crypts Host defense against microorganisms